A cystic, painless swelling along the upper border of sternocleidomastoid muscle is most likely to be:
1. Thyroglossal cyst
2. Branchial cyst
3. Cystic hygroma
4. Branchial fistula

Correct answer: 2. Branchial cyst

Explanation: Ans. B i.e. Branchial cyst